Wide QRS complex is typically seen in
1. Bundle branch block
2. Sick sinus syndrome
3. Mobitz Type I block
4. Mobitz Type II block

Correct answer: 1. Bundle branch block

Explanation: The differential diagnosis of wide-complex tachycardia includes ventricular tachycardia , PSVT with bundle branch block aberrancy, and preexcited tachycardia (see above). In general, these should be managed as ventricular tachycardia until proven other- wise. If the tachycardia is regular and the patient is stable, a trial of intravenous adenosine is reasonable. Ref Harrison 20th edition pg 1443